The lymphatic drainage from the tip of tongue first passes to:
1. Submental nodes
2. Supra clavicular nodes
3. Sub mandibular nodes
4. Superior deep cervical nodes

Correct answer: 1. Submental nodes